Normal vital capacity in an adult is
1. 1200 ml
2. 2500 ml
3. 3000 ml
4. 4700 ml

Correct answer: 4. 4700 ml

Explanation: Vital capacity Amount of air that can be exhaled with maximum effort after maximum inspiration (ERV + TV + IRV); used to assess strength of thoracic muscles as well as pulmonary function. Around 4700mlRef: Ganong review of medical physiology 23rd edition Page no: 593